Which of the following should be considered as the cause6 of generalised convulsions 20 minutes post operatively
1. Halothane
2. Enflurane
3. Isoflurane
4. Sevoflurane

Correct answer: 2. Enflurane

Explanation: Refer anaesthesiology by Longnecker /761 KDT 6/e p372 Enflurane Enflurane is known to produce seizures